The type of hemoglobin that has least affinity for 2,3- Diphosphoglycerate (2,3-DPG) or (2,3-BPG) is:
1. Hg A.
2. Hg F
3. H B
4. Hg A2.

Correct answer: 2. Hg F

Explanation: B i.e. HgF 2,3. DPG does not combine with fetal hemoglobin 2,3DPG & Hemoglobin 2,3 DPG is present in high concentration in erythrocytes (HbA> HbA2) 2,3 DPG greatly reduces the affinity of Hb to O2 Q (shifts O2-dissociation curve to right) Fetus Hb (HbF) consists of a2Y2, this tetramer has much lower affinity for 2-3 DPG than adult HbQ Corresponding a higher affinity for O2.